Verapamil is used in all, except ?
1. Angina pectoris
2. Atrial fibrillation
3. Ventricular tachycardia
4. None of the above

Correct answer: 3. Ventricular tachycardia

Explanation: Ans. is 'c' i.e., Ventricular tachycardia Use of Verapamil as an antiarrhythmic PSVT Angina pectoris --All CCB's are effective in reducing frequency and severity of classical as well as variant angina. It is beneficial in angina in the following way Classical angina Reduces cardiac work, mainly as a result of reduced afterload. Variant angina Prevent arterial spasm. Hypertension Hypertrophic cardiomyopathy Suppress nocturnal leg cramps Migraine